In which of the following vasculitis lung involvement does not occur:
1. Eosoniphilic granulomatosis with vasculitis
2. Polyarteritis nodosa (PAN)
3. Microscopic polyangitis
4. Granulomatosis with polyangitis

Correct answer: 2. Polyarteritis nodosa (PAN)

Explanation: Answer- B. Polyarteritis nodosa (PAN)Microscopic polyangiitis (microscopic polyarteritis, hypersensitivity, or leukocytoclastic vasculitis): This type of necrotizing vasculitis generally affects arterioles, capillaries, and venule.Wegener granulomatosis (Granulomatosis with polyangitis)- is a necrotizing vasculitis characterized by th e triad ofacute necrotizing granulomasnecrotizing or granulomatous vasculitisrenal disease in the form of focal necrotizing often crescentic, glomerulitis"Churg- Strauss syndrome(allergic granulumatosis and angiitis) is a multisystem diseases with cutaneous involvement gastrointestinal tract bleeding, and renal disease.